Which of the following is associated AV block?
1. Hypothyroidism
2. Hyperthyroidism
3. Pheochromocytoma
4. Cushing syndrome

Correct answer: 1. Hypothyroidism

Explanation: Ans. a. HypothyroidismRef: Harrisons Principle of Internal Medicine 19th Ed; Page No-1471ETIOLOGY OF AV BLOCKAutonomic Carotid sinus hypersensitivityVasovagalMetabolic/Endocrine HyperkalemiaHypermagnesemiaHypothyroidism Adrenal insufficiencyDrug-related Beta blockersCalcium channel blockersDigitalisAdenosineAntiarrhythmics (class 1 and III) LithiumInfectious Endocarditis Lyme disease Chagas disease SyphilisTuberculosisDiphtheriaToxoplasmosisInflammatorySLERheumatoid arthritis InfiltrativeAmyloidosisSarcoidosisMCTDSclerodermaHemochromatosisNeoplastic/TraumaticLymphomaMesotheliomaMelanomaDegenerativeLev's diseaseRadiation Catheter ablationLenegre's diseaseCoronary artery diseaseAcute Ml Abbreviations: MCTD, mixed connective tissue disease; Ml myocardial infarction; OMIM, Online mendelian Inheritance in Man (database; designations: , phenotypic description, molecular basis known; % phenotypic description); SLE, systemic lupus erythematosus